How many gram of protein is given in mid day meal scheme:
1. 4-8 gram
2. 8-12 gram
3. 12-16 gram
4. 16-20 gram

Correct answer: 2. 8-12 gram

Explanation: Ans. B: 8-12 gram Park's PSM,21st ed., p-612 states: The central assistance provided to states under the mid-day meal is by way of free supply of food grain from nearest Food Corporation of India godown at the rate of 100 g per student per day and subsidy for transport of food grain. To achieve the objective, a cooked mid-day meal with maximum 300 calories and 8-12 grammes of protein content will be provided to all the children in class Ito V.